All of the following are categorized as secondary lymphoid organs except
1. Lymph nodes
2. Spleen
3. Thymus
4. Subepithelial collec ons of lymphocytes

Correct answer: 3. Thymus